Gas gangrene is caused by all, EXCEPT:
1. CI. histolyticum
2. CI. novyi
3. CI. perfringens
4. CI. sporogenes

Correct answer: 4. CI. sporogenes

Explanation: Gas gangrene or clostridial myonecrosis is produced by any one of several clostridia (Clostridium perfringens, C ramosum, C bifermentans, C histolyticum, C novyi, etc). Trauma and injection drug use are common predisposing conditions. Toxins produced into devitalized tissues under anaerobic conditions result in shock, hemolysis, and myonecrosis. Gas gangrene usually begins 1 to 4 days after the injury but may start within 10 hours. The earliest reported finding is severe pain at the site of the wound accompanied by a sense of heaviness or pressure. The disease then progresses rapidly with edema, tenderness, and pallor, followed by discoloration and hemorrhagic bullae. The gas is apparent as crepitus in the tissue, but this is a late sign. Ref: Schwartz B.S. (2013). Chapter 33. Bacterial & Chlamydial Infections. In M.A. Papadakis, S.J. McPhee, M.W. Rabow (Eds), CURRENT Medical Diagnosis & Treatment 2013.